Which of the following metabolic complications is not seen in Chronic Renal Failure:
1. Hyperkalemia
2. Hyponatremia
3. Hypercalcemia
4. Hyperphosphatemia

Correct answer: 3. Hypercalcemia

Explanation: Answer is C (Hypercalcemia) Chronic Renal Failure is associated with Hypocalcemia and not hypercalcemia.